Presenilin - 1 gene is present on :
1. Chromosome 1
2. Chromosome 2
3. Chromosome 14
4. Chromosome 21

Correct answer: 3. Chromosome 14

Explanation: Presenilin - 1 is present on Chromosome 14 & Presenilin - 2  is present on Chromosome - 1. Both are associated with Alzheimer's disease.